IMNCI recommendations are until the age of
1. 5 yrs
2. 6 yrs
3. 10 yrs
4. 12 yrs

Correct answer: 1. 5 yrs

Explanation: The IMNCI clinical guidelines target children less than 5 years old -- the age group that bears the highest burden of deaths from common childhood diseases. The approach to case management is:-evidence-based and-syndromic-that supports the rational, effective and affordable use of drugs and diagnostic tools. Ref : Park 23rd edition Pgno : 456-459